Pramlintide is ?
1. Synthetic amylin analogue
2. Inhibitor of DPP 4
3. GLP 1 analogue
4. PPAR gamma

Correct answer: 1. Synthetic amylin analogue

Explanation: Ans. is 'a' i.e., Synthetic amylin analogue NEWER ANTIDIABETIC DRUGS Exenatide Exenatide is a synthetic glucagon-like peptide - 1 (GLP-1) analogue. GLP-1 is an important incretin that is released from gut in response to oral glucose. But GLP-1 can not be used clinically as it is degraded rapidly by enzyme dipeptidly peptidase - (DPP-4). Exenatide is resistant to DPP-4. It acts similar to GLP-1 - Enhancement of postprandial insulin release, suppression of glucagon release and appetite as well as slowing of gastric emptying. It is given by subcutaneous route & used in type 2 DM Nausea is most important side effect. Sitagliptin This is orally active inhibitor of DPP-4. It prevents degradation of endogenous GLP-1 and other incretins, potentiating their action, resulting in limitation of postprandial hyperglycemia. It is used in type 2 DM. Other DPP-4 inhibitor is vildagliptin Pramlintide This is a synthetic amylin analogue (Amylin is a polypeptide produced by pancreatic (3-cells which reduces glucagon secretion from a-cells and delays gastric emptying). Pramlintide attenuates postprandial hyperglycemia and exerts a centrally mediate anorectic action. o It is given by subcutaneous route and is used in both Type 1 and Type 2 DM. Glucomannan This is powdered extract from tuber of konjar. It is promoted as a dietary adjunct for diabetes. It swells in stomach by absorbing water and is claimed to reduce appetite, blood sugar, serum lipids and relieve constipation. Bromocriptine Recently bromocriptine has been approved by FDA, as an adjunct to diet and exercise to improve glycemic control in type 2 DM. It has been found that dopamine alter insulin resistance by acting on hypothalmus and bromocriptine blocks O2 receptors.